Cockup splint is used in paralysis of:
1. Ulnar nerve
2. Radial nerve
3. Median nerve
4. Sciatic nerve

Correct answer: 2. Radial nerve

Explanation: Ans. (b) Radial nerveRef: Maheshwari 5th ed. 125 Table 4.1\Cockup splint is used in cases of radial nerve injury.Different splint and their UsesSplintUsed InKnuckle bender splintUlnar nerveAeroplane splintBrachial plexus injuryDennis brown splintCTEVBohler Brown splintFracture femur (anywhere from neck to supracondylar region)Turn buckle splintVIC (Volkmann ischemic contracture)